Ring Enhancing lesion In AIDS patient is Most Likely due to?
1. Cryptococcosis
2. Hydatid Cyst
3. Neurocysticercosis
4. Toxoplasmosis

Correct answer: 4. Toxoplasmosis

Explanation: *Toxoplasmosis and CNS lymphoma are the major differentials for a Ring Enhancing lesion in AIDS Patients Toxoplasmosis produces Eccentric target sign within a ring Enhancing lesion